A patient was undergoing surgical procedure under general anaethesia. Suddenly he developed tachycardia, sweating, hypertension and tachypnea. What is the best immediate step to manage the situation-
1. IV beta-blocker
2. Abandon the surgery
3. Deepen the plane of Anaesthesia
4. Nothing is required

Correct answer: 3. Deepen the plane of Anaesthesia

Explanation: Ans: C. Deepen the plane of AnaesthesiaThe given patient is showing signs of light anaesthesia and intraoperative awareness.Signs of light anaesthesia (intra-operative awareness) are:TachycardiaHypertensionLacrimationperspiration (sweating)Eye movementPreserved reflexes (coughing)Movement on painful stimuliLaryngospasm / BronchospasmTachypneap waves on EEGIt intraoperative clinical signs suggest that a patient is having light anaesthesia intraoperative awareness, anaesthesia should be deepened immediately.